Most common Valvular lesion seen with carcinoid syndrome is?
1. Tricuspid stenosis and pulmonic stenosis
2. Tricuspid insufficiency and pulmonic stenosis
3. Mitral stenosis and aortic stenosis
4. Mitral insufficiency and aortic stenosis

Correct answer: 2. Tricuspid insufficiency and pulmonic stenosis

Explanation: Carcinoid heart disease Results from neoplasms of enterochromaffin cells. Can survive up to 10 years after diagnosis, because the tumors, although malignant, are slow growing. Associated with production of serotonin | Serotonin - Cardiac failure, due to fibrous deposits in the endocardium a- fibrous degeneration of the valve apparatus. Fibrosis in the right side of the heart leading to Tricuspid Insufficiency and Pulmonic Stenosis (MNEMONIC: T.I.P.S)